All cause ascending motor paralysis except :
1. Diabetes mellitus
2. Diphtheria
3. Gullien Barre syndrome
4. Porphyria

Correct answer: 2. Diphtheria

Explanation: Answer is B (Diphtheria): Diptheria is associated with a descending motor paralysis. All other options mentioned in the question give rise to ascending motor paralysis. Important causes of descending motor paralysis. Botu I ilium Q. Diphtheria Q Polio These three causes of descending motor paralysis need to be remembered as they are frequently asked and help to answer several questions by exclusion.